"Type I phenylketonuria" is caused by a deficiency of
1. Phenylalanine transminase
2. Phenylalanine hydrolaxase
3. Tyrosine transaminase
4. Tyrosine hydroxylase

Correct answer: 2. Phenylalanine hydrolaxase

Explanation: Hyperphenylalaninemias arise from defects in phenylalanine hydroxylase, EC 1.14.16.1 (type I, classic phenylketonuria (PKU), frequency 1 in 10,000 births), in dihydrobiopterin reductase (types II and III), or in dihydrobiopterin biosynthesis (types IV and V).Ref: Harper's Biochemistry; 30th edition; Chapter 29 Catabolism of the Carbon Skeletons of Amino Acids